Glutamate dehydrogenase in mitochondria is activated by:
1. ATP
2. GTP
3. NADH
4. ADP

Correct answer: 4. ADP

Explanation: Ans. D. ADPGlutamate Dehydrogenase (GDH)Liver Glutamate Dehydrogenase (GDH) is allosterically inhibited by ATP, GTP, NADH.Liver Glutamate Dehydrogenase (GDH) is allosterically activated by ADPReversible reaction but strongly favour Glutamate formationCan use either NAD+ or NADP+.